All are true about facial recess except:
1. Supra pyramical recess
2. Medially it is bounded by chorda tympani and laterally by facial nerve
3. Important in cochlear implant
4. Middle ear can be approached through it

Correct answer: 2. Medially it is bounded by chorda tympani and laterally by facial nerve